Hard ticks are responsible for the transmission of several different kinds of organisms. All of the following diseases are spread by hard tick, EXCEPT:
1. Relapsing fever
2. Indian tick typhus
3. Tularemia
4. Kyasanur Forest Disease

Correct answer: 1. Relapsing fever

Explanation: Relapsing fever is a vector-borne disease caused by spirochetes of the genus Borrelia. Epidemic relapsing fever is transmitted to humans by body lice (Pediculus humanus) and endemic relapsing fever by soft-bodied ticks (genus Ornithodoros). Indian tick typhus is caused by Rickettsia conorii. Regional names for this disease caused by this organism include Mediterranean spotted fever, Kenya tick typhus, Israeli spotted fever, and Astrakhan spotted fever. Tularemia is an infection of wild rodents--paicularly rabbits and muskrats--with Francisella (Pasteurella) tularensis. Kyasanur Forest virus is a hard tick-borne flavivirus that cause a syndrome of viral hemorrhagic fever. Ref: Ogle J.W., Anderson M.S. (2012). Chapter 42. Infections: Bacterial & Spirochetal. In W.W. Hay, Jr., M.J. Levin, R.R. Deterding, J.J. Ross, J.M. Sondheimer (Eds), CURRENT Diagnosis & Treatment: Pediatrics, 21e.